Caries sicca are seen in TB of ?
1. Small bones of hand
2. Shoulder
3. Knee
4. Hip

Correct answer: 2. Shoulder

Explanation: Ans. is 'b' i.e., Shoulder Tuberculosis of the shoulder Rare constituting only 1 - 2% of skeletal tuberculosis. Seen in adults with high concomitant pulmonary tuberculosis. Painful limitations of abduction and external rotation occur early and there is marked wasting of supraspinatus, deltoid and other muscles. With disease progression there is marked atrophy and destruction of the upper end of humerus. And glenoid and the shouler undergoes fibrous ankylosis. The common variety is dry, atrophic form - caries sicca.